The rate limiting step in the biosynthesis of cholesterol is catalyzed by:
1. HMG CoA lyase
2. Acetyl CoA carboxylase
3. HMG CoA reductase
4. HMG CoA synthase

Correct answer: 3. HMG CoA reductase